Neuroendocrine lesions of lung are
1. Carcinoid tumor
2. Alveolar carcinoma
3. Hamartoma
4. Asthma

Correct answer: 1. Carcinoid tumor

Explanation: Classification of neuroendocrine lesions.

Non-neoplastic

Reactive neuroendocrine cell hyperplasia (associated with inflammation or scarring).
Idiopathic pulmonary neuroendocrine cell hyperplasia.



Benign - Tumorlets 
Malignant -

Carcinoid tumor. 
Small cell carcinoma of lung.
Large cell neuroendocrine carcinoma of the lung.